Hutchinsons secondaries In skull are due to tumors in
1. Lung
2. Breast
3. Adrenal
4. Liver

Correct answer: 3. Adrenal

Explanation: Adrenal neuroblastomas are malig8nant neoplasms arising from sympathetic neuroblsts in Medulla of adrenal gland Neuroblastoma is a cancer that develops from immature nerve cells found in several areas of the body.Neuroblastoma most commonly arises in and around the adrenalglands, which have similar origins to nerve cells and sit atop the kidneys.